Pseudoclaudication is caused by
1. Femoral Artery stenosis
2. Popliteal Artery stenosis
3. Lumbar canal stenosis
4. Radial Artery stenosis

Correct answer: 3. Lumbar canal stenosis

Explanation: Pseudoclaudication is the term used for neurogenic claudication caused due to lumbar canal stenosis. Its symptoms mimic intermittent claudication of PVD. Neurogenic claudication, consists of back and buttock or leg pain induced by walking or standing and relieved by sitting or changing posture. Symptoms in the legs are usually bilateral. Unlike vascular claudication, symptoms are often provoked by standing without walking. Spinal stenosis can be acquired, congenital, or due to a combination of these factors. Congenital causes include achondroplasia, idiopathic. Acquired causes are degenerative diseases (spondylosis, spondylolisthesis, scoliosis), trauma, spine surgery, metabolic or endocrine disorders (epidural lipomatosis, osteoporosis, acromegaly, renal osteodystrophy, hypoparathyroidism), and Paget's disease. Ref : Bailey and love surgery text book 27th Ed.